Burns involving the eyelid leads to formation of ?
1. Spastic ectropion
2. Mechanical ectropion
3. Cicatricialectropion
4. None of the above

Correct answer: 3. Cicatricialectropion

Explanation: Ans. is 'c' i.e., Cicatricial ectropion ECTROPION Out rolling or outward turning of the lid margin is called ectropion. Types Senile ectropion. It is the commonest variety and involves only the lower lids. It occurs due to senile laxity of the tissues of the lids and loss of tone of the orbicularis muscle. Cicatricial ectropion. It occurs due to scarring of the skin and can involve both the lids. Common causes of skin scarring are: thermal burns, chemical burns, lacerating injuries and skin ulcers. Paralytic ectropion. It results due to paralysis of the seventh nerve. It mainly occurs in the lower lids. Common causes of facial nerve palsy are: Bell's palsy, head injury and infections of the middle ear. Mechanical ectropion. It occurs in conditions where either the lower lid is pulled down (as in tumours) or pushed out and down (as in proptosis and marked chemosis of the conjunctiva). Spastic ectropion. It is a rare entity, seen in children and young adults following spasm of the orbicularis, where lids are well supported by the globe.